False about gastrointestinal development is
1. Lower respiratory system develops from foregut
2. Stomach rotates 90deg clock wise & its posterior wall grows faster
3. Duodenum rotates to right & is retroperitoneal
4. Dorsal bud form uncinate process

Correct answer: 4. Dorsal bud form uncinate process

Explanation: D i.e. Dorsal bud form uncinate process - Lower respiratory tract develops from foregutQ.- Stomach, rotates 90deg clockwise around its longitudinal axisQ (viewed from cranial end) and original posterior wall grows faster than anterior forming greater & lesser curvaturesQ. Duodenum rotates to right to become retroperitonealQ. Ventral pancreatic bud forms uncinate process & inferior part of head pancreasQ. Dorsal bud is obliterated or form accessory pancreatic duct of SantoriniQ.